The following is the anesthetic of choice in status asthamaticus
1. Thiopentone
2. Althesin
3. Ketamine
4. Barbiturate

Correct answer: 3. Ketamine

Explanation: Ketamine